Conduction along membrane is dependent on all of the following EXCEPT:
1. Ca2+
2. K+
3. Fe2+
4. Na+

Correct answer: 3. Fe2+

Explanation: Ans. C i.e. Fe2+ A decrease in extracellular Ca2+ concentration increases the excitability of nerve and muscle cells by decreasing the amount of depolarization necessary to initiate the changes in the Na+ and K+ conductance that produce the action potential. Conversely, an increase in extracellular Ca2+ concentration can stabilize the membrane by decreasing excitability.